Which one is a contraindication to the use of ergot derivatives -
1. Migraine
2. Hyperprolactinemia
3. Obstructive vascular disease
4. Postpartum hemorrhage

Correct answer: 3. Obstructive vascular disease

Explanation: Ans. is 'c' i.e., Obstructive vascular disease